Escharotomy is done in:
1. Superficial burns
2. Deep burns
3. Circumferential full thickness burns
4. Burns in childrens

Correct answer: 3. Circumferential full thickness burns

Explanation: Ans: C i.e. Circumferential full thickness burns The tourniquet effect of circumferential full thickness burns can be easily treated by incising the whole length of the full thickness burns (escharotomy)